Idiopathic guttate hypomelanosis usually occurs over the-
1. Anterior aspects of legs and forearms
2. Face and ears
3. Flexural regions
4. Extensors

Correct answer: 1. Anterior aspects of legs and forearms

Explanation: Ans. A. Anterior aspects of legs and forearmsIGH most frequently occur in sun-exposed areas of the limbs. Solar damage is a factor in these cases. Clinically, the lesions are porcelain-white macules, usually 2-6mm in size but sometimes much larger